All the following will appear caries in an X-ray except
1. Acrylic resin
2. Calcium hydroxide
3. ZOE
4. Composite

Correct answer: 3. ZOE